Enamel is laid down
1. Mainly by odontoblasts
2. Mainly by ameloblasts
3. Only on odontoblasts
4. Only by ameloblasts

Correct answer: 4. Only by ameloblasts